A baby can breathe and suck at the same time. This is due to:
1. Highly placed larynx
2. Wide short tongue
3. Short soft palate
4. Short pharynx

Correct answer: 1. Highly placed larynx

Explanation: Ans. a. Highly placed larynx (Ref: Morgan 3/e p849; Logan Turner 10/e p382: Gray's Anatomy 40/e p584)A baby can suck milk into mouth and because of its palate in mouth is separated from its nasal cavity so while baby is sucking in milk, can also breath through nose.When the infant has to swallow, the soft palate rapidly moves upward to close off the back of the back of nasal air tube.At the same time, the epiglottis closes off the larynx and guides the milk into the esophagus.Because of these factors, infant can breath and swallow in quick succession.'As the person grow older, the larynx moves down to a lower position, this leaves a lorge gap between the back of mouth and the top of the larynx.'Anatomy of Airway in Neonate* Proportionately larger tongue* Tongue is pushed against the palate* Narrow nasal passage* Anterior and cephalad (highly placed) larynx* Larynx is anteriorly inclined* Soft, large, patulous omega shaped epiglottis* Epiglottis inclined at 45deg* Subglottic portion rather than rima glottides is the narrowest portion of the airway* Vocal cord at the level of C4* Trachea bifurcates at the level of 12* Larynx lies opposite 2nd, 3rd and 4th cervical vertebra at birth